A Toxic doses, zero order kinetics is seen in
1. Pencillin
2. Phenytoin
3. Valproate
4. Carbamazepine

Correct answer: 2. Phenytoin

Explanation: Phenytoin follows nonlinear (or zero-order) kinetics at therapeutic concentrations, because the rate of metabolism is close to the maximum capacity of the enzymes involved Ref-KDT 6/e p31